Septal hematoma of the nose is best treated with which of the following?
1. Incision and drainage
2. Nasal packing
3. Antibiotics
4. Nasal decongestants

Correct answer: 1. Incision and drainage

Explanation: Treatment of septal hematoma is performed small incisions through the mucoperichondrium to evacuate the blood. After the drainage the nose is packed or quilting stitches are put in. Silicone stents can also be used to prevent re-accumulation of the hematoma. If left untreated, it may result in cartilage necrosis with subsequent nasal dorsum depression ("saddle nose" deformity), or septal perforation.